The antihypertensive which cause decrease libido and importance is
1. Atenolol
2. Enalapril
3. Prazosin
4. Diltiazem

Correct answer: 1. Atenolol

Explanation: Diabetics have a maximum risk of causing sexual dysfunction followed by beta blockers Atenolol ,metaprolol and Carvedilol have high risk whereas nevibolol has maximum risk of erectile dysfunction ACE inhibitors decrease the risk Refer kDT 6/e p139